Which amino acid causes hypoglycemia?
1. Phenylalanine
2. Lysine
3. Leucine
4. Valine

Correct answer: 3. Leucine

Explanation: Leucine (Leu) (L) is ketogenic.it will enter ketogenic pathway. So no glucose is formed.there would be hypocritical glycemiaRef: DM Vasudevan - Textbook of Biochemistry for Medical Students, 6th edition, page no: 200